20-year old college student presented with C/O fever, sore throat, malaise. On examination cervical lymphadenopathy present. Patient have no past history of travelling. Few days back he was diagnosed with streptococcal pharyngitis by a local physician for which IM ampicillin was given as treatment . What is the etiology of given rash?
1. Fifth disease
2. Exanthematous drug eruption
3. Chikungunya fever
4. Rubeola

Correct answer: 2. Exanthematous drug eruption

Explanation: OPTION B- Above clinical scenario is a case is for infection mononucleosis caused due to Ebstein-Barr virus (EBV). Often it is confused with streptococcal pharyngitis. Majority of patients with mononucleosis due to EBV develop rash when given IM ampicillin. This are groups of patients who have an elevated risk of exanthematous drug eruptions. OPTION A- Fifth disease/erythema infectiosum. It is due to parvovirus B19 and effects children in age group of 3-12 yr. OPTION C- Chikungunya fever is associated prominently with painful polyarticular arthralgias with a maculopapular eruption OPTION D -The rash of rubeola starts at the hairline 2-3 days into the illness and moves down to the body.